Posner-schlossman syndrome is ?
1. Ipsilateral optic atrophy with contralateral papilloedema
2. Unilateral glaucomatous changes with mild anterior uveitis
3. Granulomatous uveitis with iris heterochromia
4. None of the above

Correct answer: 2. Unilateral glaucomatous changes with mild anterior uveitis

Explanation: Ans. is 'b' i.e., Unilateral glaucomatous changes with mild anterior uveitis Glaumatocyclic crisis Glamatocyclitic crisis (Posner - Schlossman syndrome) is a unilateral recurrent non- granulomatous iritis that is associated with an elevated ocular pressure during the attacks. This self- limiting condition tends to occur in persons during the third to sixth decade and the visual fields, the optic nerve head, and anterior chamber angle are normal. A mild inflammatory reaction is very rarely present as evidenced by a few keratic precipitates on the posterior surface of the cornea. The cause of the glaucoma remains unknown, but a trabeculitis is suspected. Many patients (55%) subsequently develop open angle glaucoma